Posterior cord of brachial plexus is formed by
1. Ventral division of upper trunk
2. Dorsal division of upper trunk
3. Ventral division of upper, middle and lower trunk
4. Dorsal division of upper, middle and lower trunk

Correct answer: 4. Dorsal division of upper, middle and lower trunk

Explanation: Cords of brachial plexus are formed by : (i) The lateral cord - It is formed by the union of the ventral divisions of the upper and middle trunks. (ii) The medial cord - It is formed by the ventral division of the lower trunk. (iii) The posterior cord -It is formed by union of the dorsal divisions of all the three trunks. Ref : B D Chaurasia's Human Anatomy , seventh edition , volume 1 , pg. no., 57.